Vomiting centre receives stimulus from
1. Area postrema
2. Suprachiasmatic
3. Medial nuclei
4. Lateral nuclei

Correct answer: 1. Area postrema

Explanation: Vomiting centre in medulla receives stimulus from- 
-        Chemoreceptor trigger zone- Area postrema
-        Vestibular system
-        Periphery- eg: irritation of gut, MI, biliary stones, renal stones
-        Cortical centres